KF ring is seen in -
1. Chalcosis
2. Diabetes mellitus
3. Keratoconus
4. Anterior Uveitis

Correct answer: 1. Chalcosis

Explanation: Ans. is 'a' i.e., Chalcosis Chalcosiso Chalcosis is perforating injury to eye with metal containing copper (Cu). o Copper deposition can lead toi) Grayish-green/golden brown discoloration of peripheral cornea called Kayser-Fleisher ring.ii) Sunflower (Petal of flower) cataract due to deposition of copper under the posterior capsule of the lens.iii) Golden plaque at posterior pole of the retina.